Trimethoprim acts by-
1. Inhibiting DHFR
2. Inhibiting protein
3. Inhibiting cell wall
4. Inhibiting cell membrance

Correct answer: 1. Inhibiting DHFR

Explanation: Ans is 'a' i.e., Inhibiting DHFR